Most common site of brain metastasis is -
1. Cerebrum
2. Cerebellum
3. Medulla oblongata
4. Pons

Correct answer: 1. Cerebrum

Explanation: Ans. is 'a' i.e., Cerebrum o MC site of brain metastases (85%) - CEREBRUMo 2nd MC site of brain metastases- CEREBELLUMo Lung, breast, melanoma (skin cancer), colon and kidney cancers commonly spread to the brain.